Which one of the following hapatitis viruses have significant perinetal transmission ?
1. Hepatitis E virus
2. Hepatitis C virus
3. Hepatitis B virus
4. Hepatitis A virus

Correct answer: 3. Hepatitis B virus

Explanation: Hepatitis B virus infection is prevalent in Asia, Africa,Southern europe.HBsAg seropositive ranges from 2-20%.In hyperendemic areas HBV infections occur mainly during infancy and early childhood.In Asia perinatal transmission from HBsAg mother to their infants is a very important route of transmission,leading to chronicity.Approximately 90%of the infants of HBeAg seropositive carrier mothers become HBsAg carriers,irrespective of a high or low HBsAg carrier rate in the population. Ref : ESSENTIAL PEDIATRICS,O.P.GHAI, PG NO:192, 7thedition